Heliotrope rash is seen in:
1. Dermatomyositis
2. Polymyositis
3. Scleroderma
4. Pityriasis roase

Correct answer: 1. Dermatomyositis

Explanation: Ans. A. Dermatomyositis. (Ref. Harrison's 18th/Figure 54-3)Proximal myopathy, heliotrope rash (violaceous perior-bital rash) over eyelids and the Gotrens papules over the knuckles indicate dermatomyositis. Periorbital violaceous erythema characterizes the classic heliotrope rash. Gottron's papules are pathognomonic for Dermatomyositis. Gottron's papules are inflammatory papules found over the dorsal interphalangeal joints and they become violaceous in colour and flattened before they atrophy to leave.